Urea synthesis is mediated by
1. Ornithine decarboxylase
2. Aspartate transaminase
3. Arginase
4. Citrulline synthase

Correct answer: 3. Arginase

Explanation: Arginase catalyses the formation of urea from arginine.